Glucocorticoids given to a case of Preterm Labour help in reducing all of the following neonatal complications except :
1. Respiratory distress syndrome
2. Intraventricular hemorrhage
3. Necrotising enterocolitis
4. Bronchopulmonary dysplasia

Correct answer: 4. Bronchopulmonary dysplasia

Explanation: Bronchopulmonary dysplasia